In the following graph, width is more than the height of an orthodontic wire. Which mode does it belongs to?
1. Edgewise mode
2. Ribbon mode
3. Anderson mode
4. None of the above

Correct answer: 1. Edgewise mode

Explanation: The thickness (height) of a rectangular wire is usually the smaller dimension, and it fills the height of the slot of the bracket. It is the dimension in the plane of the bend. 
The width of a rectangular wire is usually the larger dimension, and it fills the depth of the slot of the bracket. Hence in edgewise mode, a 0.017 X 0.025 in. rectangular wire has a thickness of 0.017 in. and width of 0.025 in. A wire can also be used in ribbon mode (flat wire), that is of greater thickness than the width.